Disulfiram like reaction is seen with -
1. Lithium
2. Terbinafine
3. Metronidazole
4. Olanzapine

Correct answer: 3. Metronidazole

Explanation: Ans is 'c' i.e. Metronidazole o Disulfiram is used in the treatment of chronic alcoholism by producing an acute sensitivity to ethanol (alcohol). Disulfiram works by inhibiting the enzyme acetaldehyde dehydrogenaseo "Disulfiram plus alcohol, even small amounts, produce flushing, throbbing in head and neck, throbbing headache, respiratory difficulty, nausea, copious vomiting, sweating, thirst, chest pain, palpitation, dyspnea, hyperventilation, tachycardia, hypotension, syncope, marked uneasiness, weakness, vertigo, blurred vision, and confusiono In severe reactions there may be respiratory depression, cardiovascular collapse, arrhythmias, myocardial infarction, acute congestive heart failure, unconsciousness, convulsions, and death"o Drugs associated with Disulfiram like reactions are1) Antibiotics (nitroimidazoles), e.g. metronidazole2) First-generation sulfonylureas, e.g. tolbutamide and chlorpropamide3) Several cephalosporin drugs, including cefoperazone, cefamandole and cefotetan.4) Griseofulvin5) Procarbazine6) Temposil, or citrated calcium carbimide.